Optimum age for performing dacryocystorhinostomy operation in a child with congenital dacryocystitis is:
1. 2 years
2. 4 years
3. 6 years
4. 8 years

Correct answer: 2. 4 years

Explanation: Ans. 4 years